Whcih vesiculobullous diseaes is associated with enteropathy?
1. Pemphigus
2. Linear IgA dermatosis
3. Chronic bullous disease of childhood
4. Dermatitis herpetiformis

Correct answer: 4. Dermatitis herpetiformis

Explanation: Dermatitis herpetiformis is an autoimmune blistering disease that is strongly associated with coeliac disease. Almsot all patient with dermatitis herpetiformis have evidence of villous atrophy on Intestinal biopsy, even if they have no gastrointestinal symptoms. Reference : Davidson, 23rd Edition, page no : 1256.